If VDO is increased all will happen except:
1. Perleche
2. Improper aesthetics
3. Trauma to TMJ
4. Trauma to muscles

Correct answer: 1. Perleche